Oncogenic viruses in human are
1. HPV
2. EBV
3. Hepatitis —B virus
4. All of the above

Correct answer: 4. All of the above